Which of the following is seen in osteoporosis:
1. Low Ca, high PO4, high alkaline phosphatase
2. Low Ca, low PO4, low alkaline phosphatase
3. Normal Ca, normal PO4, normal alkaline phosphatase
4. Low Ca, low PO4, normal alkaline phosphatase

Correct answer: 3. Normal Ca, normal PO4, normal alkaline phosphatase

Explanation: Ans. is 'c' i.e normal Ca, P04, Alkaline phosphatase , Harrison 16/e, p 2272 (14/e, 2250)]* "Laboratory findings in metabolic bone diseases"*DiseaseSerum calciumSerum phosphorusAlkaline phosphataseParathormonei) OsteoporosisNNNNii) Osteomalacia (Rickets)DecreaseDecreaseIncreaseN (Increase)iii) Prim.HyperparathyroidismIncreaseDecreaseN (Increase)Increaseiv) Pagets diseaseNNIncreaseNv) Bone disease in renal failure with sec. Hyper parathyroidismN (Decrease)IncreaseIncreaseIncreasevi) Lytic bone neoplasm NN (Increase)N (Increase)N (Increase)N